For growth of bone, which term is most appropriate:
1. Enlargement
2. Apposition
3. Hyper plasia
4. Hypertrophy

Correct answer: 2. Apposition

Explanation: B i.e. Apposition Because bone tissue is made only by osteoblasts, the growth of bone is achieved only by deposition of new bone on pre existing surface - known as appositional growth.